Migratory superficial thrombophlebitis is seen
1. Carcinoma pancreas
2. Astrocytoma
3. Renal carcinoma
4. All

Correct answer: 1. Carcinoma pancreas